Boys are more likely to be affected by which genetic disorders ?
1. AD
2. AR
3. X linked dominant
4. X linked recessive

Correct answer: 4. X linked recessive

Explanation: Ans. is 'd' i.e., X linked recessive X-linked disorders Except for a few conditions, all X-linked disorders are X-linked recessive. As male has only one X-chromosome, the male with affected gene on X-chromosome will always manifest the disease. On the other hand, female has 2 X-chromosomes, heterozyogous female will be carrier because of expression of normal allel on the other X-chromosome. So a boy has more probability to manifest X linked recessive as compared to girls